A girl presents with, primary amenorrhea, grade V thelarche, grade II pubarche, no axillary hair, likely diagnosis is:
1. Testicular feminization
2. Mullerian agenesis
3. Turners syndrome
4. Gonadal dysgenesis

Correct answer: 1. Testicular feminization

Explanation: Tanner's Stage V thelarche means : 'Mature' breast development Stage II pubarche means : Sparse growth; We therefore have to look for a condition where development of breast is unaffected despite poor development of pubic hair. Thus, testicular feminization is the only condition out of these with well developed breast & poorly developed axillary hair or pubic hair. Ref: Textbook of Gyanaecology By Copeland, Page 601 ; Harrison's Principles of Internal Medicine, 14th Edition, Page 2122 and 15th Edition, Page 2181-2